All of the following statements about. Wilson's disease are true, EXCEPT -
1. It is an autosomal recessive disorder
2. Serum Ceruloplasmin level is <20 mg/dI
3. urinary copper exxretion is <100 mg/day
4. Zinc acetate is effective as maintenance therapy

Correct answer: 3. urinary copper exxretion is <100 mg/day